The Most common lesion in Wernicke's encephalopathy is found in the
1. Dentate nucleus
2. Substatia nigra
3. Motor cortex
4. Mamillary bodies

Correct answer: 4. Mamillary bodies

Explanation: (D) Mamillary bodies > Lesions in the periventricular regions of the diencephalon, midbrain, and brainstem as well as the superior vermis of the cerebellum consist of symmetric discoloration of structures surrounding the third ventricle, aqueduct, and fourth ventricle, with petechial hemorrhages in occasional acute cases and atrophy of the mamillary bodies in most chronic cases.